Saddle nose is-
1. Depressed nose
2. Crooked nose
3. Deviated nose
4. C-shaped

Correct answer: 1. Depressed nose

Explanation: Ans. is 'a' i.e., Depressed nose Saddle nose (Depressed nose)o Nasal dorsum is depressed (sagging of the bridge of nose).o Depressed nasal dorsum may involve either bony, cartilaginous or both bony and cartilaginous components. Most common etiology: Nasal traumao Causes are hematoma, excessive surgical removal, trauma, syphilis, abscess, Leprosy, and tuberculosis. Crooked or deviated noseo Crooked nose is the external deviation of nose due to deviation of the dorsal border of septal cartilage, forming a 'C' or 'S' shaped curve.o In crooked nose, the midline dorsum is curved in 'C' or 'S' shaped manner from the frontonasal angle to the tip of nose.o In a deviated nose, the midline is straight but deviated to one side, midline is not curved as in crooked nose.